Which of the following cells are responsible for acid secretion in kidney?
1. I cells
2. P cells
3. Mesangial cells
4. Pericytes

Correct answer: 1. I cells

Explanation: Intercalated (I cells) are present in late DCT & cortical collecting ducts secrete H+ ions and reabsorb K+ ions. Ref: Ganong 25th ed/page 681